A patient presents with a painless ulcer on his penis. A Wasserman test is done and is positive. Wasserman reaction is an example of _
1. Complement fixation
2. Precipitation
3. Neutralization
4. Agglutination

Correct answer: 1. Complement fixation

Explanation: Wassermann reaction is an example of a complement fixation test. It is a non specific test for the diagnosis of syphilis. Principle of complement fixation tests: Antigen-antibody complexes fix complement Reference: Ananthanarayan and Paniker's Textbook of Microbiology Tenth edition